Delusions are not likely to be seen in:
1. Dementia
2. Depression with psychotic symptoms
3. Schizophrenia
4. Conversion disorder

Correct answer: 4. Conversion disorder

Explanation: Delusion is a false, firm ,fixed and unshakable belief. It is not a feature of conversion disorder. It can be a feature of- schizophrenia depression with psychotic symptoms Dementia.